Canrenone is a metabolite of :
1. Ampicillin
2. Spironolactone
3. Furosemide
4. Acetazolamide

Correct answer: 2. Spironolactone